Which of the following statements about anti-epileptics is false?
1. Phenytoin and carbamazepine act by prolonging the inactivated state of Na+ channels
2. Carbamazepine can be used in trigeminal neuralgias
3. Diazepam is an anticonvulsant drug
4. Lamotrigine mainly acts by causing GABA mediated Cl- channel opening

Correct answer: 4. Lamotrigine mainly acts by causing GABA mediated Cl- channel opening

Explanation: prolongation of Na+ channel inactivation and suppression of high frequency firing has been demonstrated. In addition, it may directly block voltage sensitive Na+ channels, thus stabilizing the presynaptic membrane and preventing release of excitatory neurotransmitters, mainly glutamate and aspartate. Ref KD Tripati 8thh ed.